Still born child is defined by:
1. >20wks
2. >24wks
3. >28wks
4. >32wks

Correct answer: 3. >28wks

Explanation: Ans: C (> 28 wks) Infant mortality ------------------------------------ Post-Neonantal death ---------------- Neonatal death -------------- Late-neonataldeath Early neonata death---------- ------ Perinatal death ---------------- Stillbirth ---- 28 weeks Birth of gestation7 Days 28 Days 1 YeaiFig: Mortality in & around infancy'